A lady wants LASIK surgery for her daughter. She asks for your opinion. All the following things are suitable for performing LASIK surgery except:
1. Myopia of 4 Diopters
2. Age of 15 years
3. Stable refraction for 1 year
4. Corneal thickness of 600 microns

Correct answer: 2. Age of 15 years

Explanation: B i.e. Age of 15 years LASIK is done in non progressive myopia i.e. the patient > 18 years and refraction stable for 18 months.Q It can correct 4 D of hypermetropia, 5 D of astigmatism and 12 D of myopia.